Which disorder involves a loss of pain sensation on one side of the body coupled with the loss of proprioception, precise tactile localization, and vibratory sensations on the contralateral side of the body?
1. Herpes zoster
2. Thalamic pain syndrome
3. Lateral medullary syndrome
4. Brown-Sequard syndrome

Correct answer: 4. Brown-Sequard syndrome

Explanation: The Brown-Sequard syndrome is characterized by the loss of pain sensation on one side of the body coupled with a loss of discriminative sensations, such as proprioception, vibratory sensation, stereognosis & motor loss on the opposite side of the body.